A convict whose family or relations were not known and no biological sample was available with jail authorities, escaped from the jail. A dead body resembling the convict was found in nearby forest, but due to mutilation of face, identity could not be established. The positive identity that he is the same convict who escaped from jail can be established by
1. Blood Grouping
2. DNA Profile
3. Anthropometry
4. HLA typing

Correct answer: 3. Anthropometry

Explanation: C i.e. Anthropometry Biological sample with jail authorities or from family members/relatives is an essential prerequisite without which, none of the three tests namely blood grouping, DNA profile on HLA typing cannot be carried out. Thus the only viable option for establishing the identity of the convict is Anthropometry.